Which of the following is considered proteinuria in a case of nephrotic syndrome:-
1. Urine albumin >40 mg/m2/hr
2. Spot urine protein : creatinine ratio >2
3. Urine dipstick 3+ or 4+
4. All the above

Correct answer: 4. All the above

Explanation: Nephrotic-range proteinuria is defned as >40 mg/m2/hr. (Normal range is <4mg/m2/hr) Urine protein-to-creatinine ratio is normally <0.2. A value of more than 2.0 is considered as nephrotic range proteinuria The urine dipstick test is reported as negative, trace (10-29 mg/dL), 1+ (30-100 mg/dL), 2+ (100-300 mg/dL), 3+ (300-1000 mg/dL), and 4+ (>1000 mg/dL). Presence of 3+ or 4+ indicates significant proteinuria